AIL of the followings are type of fingerprinting except:
1. Arch
2. Loop
3. composite
4. Circle

Correct answer: 4. Circle

Explanation: Ans: D (Circle) [Ref Reddy 7th/75-77)Loops, whorls, arches & composite are types of fingerprint -Reddy 27th/76Fingerprint System, or Dactylography or Gallon System or Derm atoglyphicsClassificationsLoops (AboutWhorls (About 25%)QArches (AboutComposite (About 1-2%)Q67 %y 6-7%)Q Radial Concentric Plain Central pocket loops Ulnar Spiral Tented Lateral pocket loops Double spiral Exceptional Twinned loops Almond shaped Accidentals